The most common complication of intracapsular fracture neck of femur is
1. Mal union
2. Osteoarthritis
3. Non-Union
4. Shortening

Correct answer: 3. Non-Union

Explanation: C i.e. Nonunion